30 year old female comes with visual defects, breast engorgement and Amenorrhea. Investigation of choice is
1. CT brain
2. Serum prolactin
3. Biopsy
4. Mr angiography

Correct answer: 2. Serum prolactin

Explanation: This is likely to be a case of pituitary adenoma. The most common pituitary adenoma causing the symptoms is prolactinoma.